Which of glial cell is mesodermal in origin -
1. Macroglial cells
2. Microglial cells
3. Oligodendrocytes
4. Ependymal cells

Correct answer: 2. Microglial cells

Explanation: Ans. is 'b' i.e., Microglial cellso Microglial cells are derived from mesenchymal (mesodermal) cells.Development of cells in CNSCells of originDeveloped mature cellsNeuroepithelial cellso Neuronso Glial cells (Macroglial cells)# Oligodendrocytes# Astrocytes# Ependymal cellsMesenchymal (mesodermal) cellso Microglial cells